Most common symptom of chronic pancreatitis is
1. Abdominal pain
2. Cachexia
3. Weight loss
4. Steatorrhoea

Correct answer: 1. Abdominal pain

Explanation: Clinical features of Chronic pancreatitis Classical triad : DM+ Pancreatic calcification + Steatorrhea(DPS) Abdominal pain is the primary manifestation and most common symptom of CP Intensity, frequency & duration of pain gradually increase with worsening disease Pancreatic inflammation and fibrosis decrease the number & function of acinar cells At least 90% of the gland needs to be dysfunctional before steatorrhoea, diarrhea and other symptoms of malabsorption develop Exocrine insufficiency occurs in 80-90% of patients with long standing CP Diabetes is developed in 40-80% of patients, typically occurs many years after the onset of abdominal pain and pancreatic Exocrine insufficiency Ref: Sabiston 20th edition Pgno :1531